All of the following factors decrease the minimum alveolar concentration (MAC) of an inhalational anesthetic agent except
1. Hypothermia
2. Hyponatremia
3. Hypocalcemia
4. Anemia

Correct answer: 3. Hypocalcemia

Explanation: Factors Decreasing MAC (Minimum alveolar concentration) Drugs Propofol Etomidate Barbiturates Benzodiazepines Ketamine a2Agonists (clonidine, dexmedetomidine) Ethanol (acute use) Local anesthetics Opioids Amphetamines (chronic use) Lithium Verapamil Age Elderly patients Electrolyte Disturbance Hyponatremia Other Anemia (hemoglobin < 5 g/dL) Hypercarbia Hypothermia Hypoxia Pregnancy Ref: Miller 7/e p1243 Table 39-3; Morgan 5/e p164